All are true of attack rate except -
1. It is type of prevalence rate
2. Expressed as percentage
3. Used when population is exposed to risk for a limited period of time
4. Reflects extent of epidemic

Correct answer: 1. It is type of prevalence rate

Explanation: Ans. is 'a' i.e., It is a type of prevalence rate Attack rate is a type of incidence rate Attack rate It is an incidence rate. It is also known as cumulative incident rate. Usually expressed as a percentage. o Used only when the population is exposed to risk for a limited period of time such as during an epidemic.